Special sensory nerve supply of soft palate:
1. Lesser palatine nerve
2. Greater palatine nerve
3. Glossopharyngeal nerve
4. Accessory nerve

Correct answer: 1. Lesser palatine nerve